Secondary deposits from prostatic carcinoma is commonest in -
1. Bone
2. Kidney
3. Liver
4. Brain

Correct answer: 1. Bone

Explanation: Ans. is 'a' i.e., Bone